Nerve supply of scalp:
1. Auriculotemporal nerve
2. Zygomatic nerve
3. Occipital nerve
4. All

Correct answer: 4. All

Explanation: A i.e. Auriculotemporal nerve; B i.e. Zygomatico temporal nerve; C i.e. Occipital nerve